A neonate presents with features of heart failure. On examination anterior fontanelle was found to be bulging. On auscultation, a cranial bruit was heard. A CT angiography done showed the following: Which vessel is mainly involved in this abnormality?
1. Median prosencephalic vein
2. Vein of Galen
3. Entire circle of willis
4. Choroid plexus

Correct answer: 1. Median prosencephalic vein

Explanation: - History of features of heart failure, bulging anterior fontanelle, cranial bruit & image given suggests the diagnosis of VEIN OF GALEN MALFORMATION - Vessel involved is - Median prosencephalic vein of markowsky (precursor of vein of Galen) - Onset - 11-13 weeks of gestation